Which of the following is activated by the binding of chemotactic agents to leukocyte membrane receptors?
1. Leukotriene B 4
2. Histamine
3. Phospholipase C
4. Tumor necrosis factor

Correct answer: 3. Phospholipase C

Explanation: Phospholipase C The binding of chemotactic agents to receptors on leukocyte cell membranes causes activation of phospholipase C. A hydrolysis reaction ensues resulting in the release of calcium from intracellular stores. The increased cytosolic calcium is important in the movement of the cells in chemotaxis.